Gottron's papules or sign seen in:
1. Dermatomyositis
2. Multiple myeloma
3. Acute myeloid leukemia
4. Psoriasis

Correct answer: 1. Dermatomyositis

Explanation: A i.e. Dermatomyositis